Best way to localize extra-adrenal pheochromocytoma:-
1. X-ray
2. Nucleotide scan
3. VMA excretion
4. Clinical examination

Correct answer: 2. Nucleotide scan

Explanation: IOC for extra adrenal pheochromocytoma is MRI>MIBG scan(aka-nucleotide scan) Imaging MRI is IOC for adrenal, extra adrenal pheochromocytoma and in pregnancy MRI is 95% sensitive and 100% specific for pheochromocytoma CT scan should be performed without contrast administration to avoid hypertensive crisis. MIBG scan is useful for extra-adrenal pheochromocytoma but IOC is MRI even for extra adrenal pheochromocytoma. Biopsy is contraindicated as it precipitates hypertensive crisis